A prisoner when asked about colour of sky, answered it as pink. This symptom is  characteristic of:
1. Othello syndrome
2. Ganser syndrome
3. Declarambault syndrome
4. Ekbom's syndrome

Correct answer: 2. Ganser syndrome

Explanation: Here the prisoner is giving approximate answers, that is when asked about colour of sky understood that question is about colour, but answered it incorrectly as pink.
This symptom is characteristically seen in "Ganser syndrome" which is a dissociative disorder, more common in prisoners.